False statement about melanocytes is
1. Melanocytes arise embryologically from the neural crest epithelium
2. Melanocytes lack desmosomes and tonofilaments
3. Melanocytes lack dendritic processes
4. Melanin is synthesized within the melanocytes

Correct answer: 3. Melanocytes lack dendritic processes